Most common infection in contact lens users is-
1. Streptococcus
2. Pseudomonas
3. Staphylococcus
4. Neisseria

Correct answer: 2. Pseudomonas

Explanation: Ans. is 'b' i.e., Pseudomonas Complications of contact lens wearo Complications of contact lens wearing are : -Intolerance Some people find wearing contact lenses intolerable.Corneal complications Corneal abrasion, Corneal edema, Corneal vascularization, Microbial keratitis (Pseudomonas, acanthamoeba), Sterile comeal infiltrate.Giant papillary conjunctivitisHypoxia Cornea is deprived of oxygen from the tear film by the presence of the contact lens. The cornea becomes edematous and new vessels may develop in the limbal area.Sensitivity This may develop in response to the preservative (thiomersal) in the cleaning and soaking solution. This results in allergic conjunctivitis.